Type of tympanic membrane perforation commonly seen in tubotympanic CSOM is
1. Central
2. Antero-superior
3. Postero-superior
4. Postero-inferior

Correct answer: 1. Central

Explanation: Ref: Diseases of ENT by Dhingra 6th edition Pgno : 69-74 Differences between tubotympanic and atticoantral type of CSOM Tubotympanic or safe type Atticoantral or unsafe type Discharge Profuse, mucoid, odourless Scanty, purulent, foul smelling Perforation Central Attic or marginal Granulations Uncommon Common Polyp Pale Red and fleshy Cholesteatoma Absent Present Complications Rare Common Audiogram Mild to moderate conductive deafness Conductive or mixed deafness